In which of the following age group myelodysplastic syndrmome (MDS) are most common:
1. 10-Feb
2. 15-20
3. 5q
4. >50

Correct answer: 4. >50

Explanation: Answer is D (> 50 years) Idiopathic MDS is a disease of the elderly. The mean age of onset is 68 years. Myelodysplastic Syndromes (Disease of the elderly with mean onset > 68 years) Heterogenous group of haematological disorder Characterized by - Peripheral blood cytopenias - Trilineage dysplastic changes - Hypercellular bone marrow - Propensity to undergo transformation into Acute Myeloid LeukaemiaQ. The French American British Group has classified this disorder into 5 pathological entities - Refractory Anemia - Refractory Anemia with ring sideroblasts - Refractory Anemia with Excess blasts - Refractory Anemia with Excess blasts in transformation - Chronic Myelomonocytic Leukaemia